HcG is secreted by :
1. Trophoblast cells
2. Amniotic membrane
3. Fetal yolk sac
4. Hypothalamus

Correct answer: 1. Trophoblast cells

Explanation: Synctiotrophoblasts are the principal site of protein and steroid hormones in pregnancy HcG is synthesized by synctiotrophoblast . Ref :Dutta Obs 9 e pg 53.